Which of the following is NOT a steroid?
1. Estrogen
2. Progesterone
3. Relaxin
4. Testosterone

Correct answer: 3. Relaxin

Explanation: Ans. (c) RelaxinRef: Harrison 18th edition, Chapter 338* Relaxin is produced mainly by the corpus-luteum, and it rises to peak within 14 days of ovulation, and then declines in the absence of pregnancy, resulting in menstruation.* In the first trimester of pregnancy, levels rise and additional relaxin is produced by the decidua.* Peak level of Relaxin is reached during the 14 weeks of the first trimester and at delivery.* It is known to mediate the hemodynamic changes that occur during pregnancy, such as increased cardiac output, increased renal blood flow, and increased arterial compliance. It also relaxes other pelvic ligaments.lt is believed to soften the pubic symphysis.